Hemorrhagic pericarditis can be caused by -
1. Tuberculosis
2. After cardiac surgery
3. Metastatic disease
4. All the above

Correct answer: 4. All the above

Explanation: Ans. is 'd' i.e., All the above Hemorrhagic pericarditis* It refers to collection of blood mixed with suppurative of fibrinous exudate in the pericardial space.* It is most commonly caused by malignant effusions in developed countries and it develops secondary to tuberculosis in developing countries.* In cases of malignant pericardial effusion metastatic disease is more prevalent as compared to primary pericardial tumors.* Other causes include: patients undergoing dialysis, patients on anticoagulant therapy, perforation of right atrium, and post cardiac surgery.Causes of haemorrhagic pericarditis1) Tuberculosis2) Malignant involvement of pericardial sac3) Bleeding diathesis4) Cardiac surgery5) Post myocardial infarction6) Dissecting aneurysm of aorta7) Uremic pericarditis.